Posterior capsulotomy after cataract is done using-
1. Argon Laser
2. Nd YAg
3. Holmium
4. Diode laser

Correct answer: 2. Nd YAg

Explanation: Ans. is 'b' i.e., Nd YAg o After cataract, if thin, can be cleared centrally by Nd: YAG laser capsulotomy. Discission with cystitome or zeigler's knife may also be used. Thick membranous after cataract needs surgical membranectomy.